"Multibacillary" is a spectrum of disease seen in -
1. Leprosy
2. TB
3. Tetanus
4. Trachoma

Correct answer: 1. Leprosy

Explanation: Operational classification of Leprosy (According to skin smear positivity) to serve as a basis for chemotherapy Paucibacillary Leprosy (PBL) Multibacillary Leprosy (MBL) BI <2 BI >= 2 Included types Indeterminate Polar tuberculoid (TT) Border Tuberculoid (BT) Polar lepromatous (LL) Borderline lepromatous (BL) Mid-borderline (BB) Multidrug therapy (MDT) in NLEP (Drugs) Rifampicin 600mg OAMS Dapsone 100mg daily Rifampicin 600mg OAMS Dapsone 100mg daily Clofazimine 300mg OAMS 5 mg daily Treatment duration 6 months 12 months Follow up (after treatment) Annually for 2 years Annually for 5 years BI: bacteriological index OAMS: Once a month supervised Ref: Park 25th edition Pgno : 332-347